X-ray appearance of CBD stone on cholangiography is –
1. Meniscus appearance
2. Sudden cut off
3. Smooth tapering
4. Eccentric occlusion

Correct answer: 1. Meniscus appearance

Explanation: Meniscus sign on cholangiography is seen in CBD stone